Chlorine demand of water determined by:
1. Horrocks apparatus
2. Chloronometre
3. Berkefield filter
4. Double Pot

Correct answer: 1. Horrocks apparatus

Explanation: Horrocks apparatus